All of these cells are found in small intestine, EXCEPT?
1. Enterochromaffin cells
2. Goblet cells
3. Neck cells
4. Paneth cells

Correct answer: 3. Neck cells

Explanation: Mucous neck cells are present in clusters or as single cells among the other cells in the necks of gastric glands and include many progenitor and immature surface mucous cells. The major cell types in the epithelium of the small intestine are absorptive enterocytes, mucous cells, Paneth cells, endocrine cells, and M cells. Absorptive enterocytes are responsible for absorption; they arise from continually proliferating undifferentiated cells in the crypts of Lieberkuhn. Mucous cells originate in crypts and migrate to the tips of villi also; mature mucous cells are termed goblet cells. Enterochromaffin cells are the most numerous; N cells (containing neurotensin), L cells (glucagon), and other cells containing motilin and cholecystokinin are also present.